The following are the sites of ion channel cholinergic receptors except
1. Adrenal medulla
2. Bronchial muscle
3. Skeletal muscle
4. Ganglia

Correct answer: 2. Bronchial muscle

Explanation: NM, NN are ion channel receptors. bronchial muscle contains M3 receptors which are GPCR Ref: KDT 7th ed pg 101